Which does NOT handle free radicals inside lens -
1. Vitamin A
2. Vitamin C
3. Vitamin E
4. Catalase

Correct answer: 1. Vitamin A

Explanation: Preventive antioxidant mechanisms of lens against free radicals are: Enzymatic defence mechanism - reduced glutathione, glutathione peroxide, superoxide dismutase and catalase Non-enzymatic defence mechanism - vitamin C, vitamin E and carotenoids